Which of the following is not a prion disease
1. Bovine spongiform encephalopathy
2. Transmissible mink encephalopathy
3. Scrapie
4. Progressive multifocal leucoencephalopathy

Correct answer: 4. Progressive multifocal leucoencephalopathy

Explanation: Progressive multifocal leukoencephalopathy is a human infection caused by a papova virus. Ref: Baveja textbook of microbiology; 4th edition.